Major depression is diagnosed after minimum of:
1. 1 week
2. 2 weeks
3. 3 weeks
4. 4 weeks

Correct answer: 2. 2 weeks

Explanation: Ans. 2 weeks